A 68-year old man who has had a recent syncopal episode is hospitalized with congestive heart failure. His blood pressure is 160/80 mmHg. His pulse rate is 80 beats per minute, and there is a grade III/IV harsh systolic murmur. An echocardiogram shows a disproportionately thickened ventricular septum and systolic anterior motion of the mitral valve. Which of the following findings would most likely be present in this man :
1. Radiation of the murmur to the neck.
2. Decrease of the murmur with hand grip
3. Delayed carotid upstroke
4. Reduced left ventricular ejection fraction 1

Correct answer: 2. Decrease of the murmur with hand grip

Explanation: Answer is B (Decrease of murmur with handgrip) The murmur decreases with increase in ventricular volume during.isometric exercise (handgrip) Echocardiographic evidence of disproportionately thickened ventricular septum and systolic anterior motion (SAM) of mitral valve strongly suggests Idiopathic hypertrophic Subaortic stenosis. The Typical harsh systolic murmur does not radiate to carotid arteries and decreases with increase in ventricular volume during isometric exercise (handgrip). Congestive heart failure often occurs because of reduced ventricular compliance despite normal ventricular systolic function. The carotid upstroke is brisk and often bifid.